Which of the following fracture is known for Malunion ?
1. Femur neck
2. Supracondylar Humerus
3. Scaphoid
4. Lateral condyle of humerus

Correct answer: 2. Supracondylar Humerus

Explanation: SCFH is known for malunion- gun stock defrmity. other fractures complication is non union.